If hardness level of water is 50-150 mg/L, the water is defined as -
1. Soft
2. Moderately hard
3. Flard
4. Very hard

Correct answer: 2. Moderately hard

Explanation: Ans. is 'b' i.e., Moderately hard Classification of hardness in waterClassificationLevel of hardness (mEq./litre)a) Soft waterb) Moderately hardc) Hard waterd) Very hard waterLess than 1 (< 50 mg/L)1 - 3 (50 - 150 mg/L)3 - 6 (150 - 300 mg/L)Over 6 (> 300 mg/L)